OCP are contraindicated in
1. Heart disease
2. All of the above
3. Thromboembolism
4. Breast cancer

Correct answer: 2. All of the above

Explanation: ABSOLUTE CONTRAINDICATIONS OF OCP:

Known or suspected breast cancer Severe hypertriglyceridem ia/hyp ercholestrolemia Undiagnosed vaginal bleeding Thrombophlebitis/thromboembolism ,
cerebral and cardiac disorders Pregnancy Hypertension (moderate to severe) Impaired liver RELATIVE CONTRAINDICATIONS OF OCP:
A migraine with aura Diabetes mellitus/gestational diabetes Hypertension Smoking Uterine lieomyoma Elective surgery Seizure disorder Sickle cell disease Gall bladder disease.
SLE Mitral valve prolapse Hyperlipidemia Hepatic disease